Mechanism of action of finasteride is -
1. Androgen receptor antagonist
2. 5 - a reductase inhibitor
3. 17 - a hydroxylase inhibitor
4. Aromatase inhibitor

Correct answer: 2. 5 - a reductase inhibitor

Explanation: Ans. is 'b' i.e., 5-a reductase inhibitor Finasteride* Competitive inhibitor of enzyme 5 a reductase, which converts testosterone to more active DHT (Di hydro testosterone) which is responsible for majority androgenic actions, including the actions on prostate and hair follicles.* It is relatively selective for 5 a reductase type 2 isoenzyme which predominates in male urogenital tract, and is used in BPH, i.e., Benign prostatic hyperplasia to shrink the prostatic size and increase peak urinary flow rate.* It has also been found effective in male pattern baldness.Adverse effects* Decreased libido, impotence, decreased volume of ejaculate.* Gynecomastia, skin rashes, lip swelling may occur.